Which of the following is wrong statements:
1. Koilonychia in Vit B12 deficiency
2. Oncholysis in Psoriasis
3. Mees lines in Arsenic poisoning
4. Pterygium of nailis in Lichen Planus

Correct answer: 1. Koilonychia in Vit B12 deficiency

Explanation: Ans: A i.e. Koilonychia in Vit B12 deficiency. Koilonychia (Spoon nail) The nail is concave with raised edges. Seen in Iron Deficiency Anemia,Hypothyroidism,Lichen Planus.